Residual volume of lung in an average adult male is: (Repeat)
1. 3.0 L
2. 0.9 L
3. 1.2 L
4. 1.9 L

Correct answer: 3. 1.2 L

Explanation: AnsL C (1.2 L) Ref: Davidson, 21st ed, pg 651Explanation:Refer Medicine 2013 question explanation.TLC: Volume of air in the lungs following maximal inspiration ( N= 5-6L)FVC: Maximum amount of air exhaled following maxima] inspiration ( N= 4.8L)VT: Volume of air entering and leaving lungs during normal respiration ( N+ 500 ml)RV: Volume of air remaining in the lungs after maximal expiratory' effort (1.2L)FRC; Volume of air within the lungs at the end of normal respiration (2.5-3L)FEV: Volume of air exhaled in a given time during a forced vital capacity effort